The conus medullaris syndrome differs from the cauda equina syndrome in that the former shows
1. Radicular pain
2. Lower motor neuron injury
3. Symmetric weakness of lower limbs
4. Urinary retention

Correct answer: 3. Symmetric weakness of lower limbs

Explanation: The conus medullaris syndrome typically shows the symmetric weakness of lower limbs , whereas the cauda equina syndrome, presents with asymmetric weakness of lower limbs. Radicular pain, lower motor neuron injury, and urinary retention are common to both conus medullaris and cauda equina syndrome. Conus medullaris Vs Conus equina syndrome Conus medullaris syndrome Cauda equina syndrome Injury Vertebral column injuries between T12 and L2 Vertebral column injuries distal to L2 Pathophysiology Upper and Lower motor neuron involvement Lower motor neuron involvement Motor strength Symmetrical motor impairement Asymmetrical motor impairement Reflexes Knee jerk preserved, ankle jerk affected Both knee and ankle jerk affected Sphincter dysfunction Urinary retention presents early in the disease course Urinary retention presents late in the disease course Absent bulbocavernosus reflex -do- Radicular pain and low back pain -do- Ref: Bradley's Neurology in Clinical practice 7th edition Pgno: 886